True about lateral corticospinal tract
1. Crossed
2. Uncrossed
3. Stops in midthoracic region
4. Crossed at midspinal level

Correct answer: 1. Crossed

Explanation: Pyramids of medulla are made by crossing fibers of the lateral corticospinal tract. About 80% of lateral corticospinal tract cross.